All of the following statements about Zenker's diverticulum are true Except
1. Acquired diverticulum
2. Lateral X-rays on Barium swallow are often diagnostic
3. False diverticulum
4. Out pouching of the anterior pharyngeal wall, just above the cricopharyngeus muscle

Correct answer: 4. Out pouching of the anterior pharyngeal wall, just above the cricopharyngeus muscle

Explanation: It is a protrusion of mucosa through Killian's dehiscence, a weak area of posterior pharyngeal wall between thyropharyngeus (oblique fibres) and cricopharyngeus(transverse fibres) of the inferior constrictor muscle of pharynx. Barium swallow-lateral view shows pharyngeal pouch. It is a false diverticulum because it contains only mucosa and submucosa. True diverticulum contains all 4 layers. It is usually an Acquired condition. Reference: SRB's Manual of Surgery, 6th Edition, page no=421.